Best disinfectant of cholera stool is -
1. Bleaching powder
2. Cresol
3. Phenol
4. Lime

Correct answer: 2. Cresol